Rotating anode is mainly used to:
1. Focus photons
2. To avoid heel effect
3. To dissipate heat from focal spot
4. Increase the energy of photons

Correct answer: 3. To dissipate heat from focal spot